Increased tendency to fall asleep at night without causing central nervous system depression is a property exhibited by:
1. Pyridoxine
2. Diphenhydramine
3. Melatonin
4. Ethanol

Correct answer: 3. Melatonin

Explanation: -Melatonin is an endogenous hormone secreted by pineal gland. -It regulates day night cycle. -It causes increased tendency to fall asleep at night without causing central nervous system depression